The policeman of the abdomen is -
1. Peritoneum
2. Greater omentum
3. Appendice epiloicae
4. Teania coli

Correct answer: 2. Greater omentum